Which of the following is not seen CSF in in Tubercular meningitis
1. Low sugar
2. High protein
3. Low opening pressure
4. Lymphocytic Ploeocytosis

Correct answer: 3. Low opening pressure

Explanation: Ans:C.)Low opening pressure. CSF Findings in Tubercular Meningitis CSF typically is clear or slightly turbid. If the CSF is left to stand, a fine clot resembling a pellicle or cobweb may form. This faintly visible "spider's web clot" is due to the very high level of protein in the CSF (ie, 1-8 g/L, or 1000-8000 mg/dL) typical of this condition. Hemorrhagic CSF also has been recorded in proven cases of TBM; this is attributed to fibrinoid degeneration of vessels resulting in hemorrhage. CSF typically has a pleocytosis, an elevated protein level, and marked hypoglycorrhachia. The chloride contents of CSF and plasma sample and the ratio of CSF to plasma chlorides decreased in tuberculous meningitis group (<102.150mmol/L, <101.75mmol/L and CSF opening pressure is is usually elevated in tuberculous meningitis.